Division ofradial nerve occurs at which level -
1. Anterior part of medial epicondyle
2. Anterior part of lateral epicondyle
3. Posterior part of medial epicondyle
4. Posterior part of lateral epicondyle

Correct answer: 2. Anterior part of lateral epicondyle

Explanation: Ans. is 'b' i.e., Anterior part of lateral epicondyleAnterior to lateral epicondyle, the radial nerve divides into its two terminal branches :-The posterior interosseous nerve.The superficial radial nerve.